A 48-year-old male patient is scheduled to have a coronary arterial bypass because of chronic angina. Coronary arteriography reveals nearly total blockage of the posterior descending interventricular artery. In exposing this artery to perform the bypass procedure, which accompanying vessel is most susceptible to injury?
1. Middle cardiac vein
2. Great cardiac vein
3. Small cardiac vein
4. Anterior cardiac vein

Correct answer: 1. Middle cardiac vein

Explanation: The middle cardiac veins run parallel with the posterior interventricular (posterior descending) artery and drains directly into the coronary sinus. The great cardiac vein parallels the anterior interventricular artery and the small cardiac veins pass parallel with the right marginal artery. The anterior cardiac veins are several small veins that drain directly into the right atrium. The coronary sinus is a wide venous channel that runs from left to right in the posterior part of the coronary groove.